How many pulpal horns are there in the mandibular second primary molar?
1. 3
2. 6
3. 4
4. 5

Correct answer: 4. 5